A person developed sudden stridor, hoarseness of voice, tongue swelling, and edematous neck after eating a peanut. What is the likely diagnosis?
1. Foreign body aspiration
2. Pharyngeal perforation
3. Angioneurotic edema
4. Para pharyngeal abscess

Correct answer: 3. Angioneurotic edema

Explanation: This is a case of Angioneurotic edema characterized by tongue swelling and laryngeal edema after ingestion of a peanut.